Oxygen saturation of blood in the umbilical artery is about:
1. 40%
2. 60%
3. 75%
4. 97%

Correct answer: 2. 60%

Explanation: PO2 Hb saturation (%) Umbilical artery 23 60 Umbilical vein 30 85